Which of the following is the finding in lymphoid tissues in individual with common variable hypogammaglobulinemia
1. Decreased B cell count
2. Increased B cells count
3. Normal B cell count
4. Absent B cells

Correct answer: 3. Normal B cell count

Explanation: Ref Robbins 8/e p233,9/e p241 Making a definitive diagnosis of primary hypogammaglobulinemia There is no single diagnostic test; CVID is a diagnosis of exclusion. Laboratory testing shows hypogammaglobulinemia (low IgG plus either low IgA or IgM, or both) and low specific antimicrobial antibody responses despite immunization.